The ideal treatment of alveolar osteitis after dental extraction is
1. Topical antibiotics
2. Systemic antibiotics
3. Debridement of socket and sedative dressing
4. Curettage to induce fresh bleeding

Correct answer: 3. Debridement of socket and sedative dressing